All of the following are cluster A personality disorders except:
1. Schizoid personality disorder
2. Schizotypal personality disorder
3. Paranoid personality disorder
4. Avoidant personality disorder

Correct answer: 4. Avoidant personality disorder

Explanation: Avoidant personality disorder is a cluster C personality disorder.